In relation to type 1A DM, honeymoon period is
1. Glycemic control achieved by OHA
2. Insulin requirement is nil or modest
3. Weight gain after insulin treatment
4. Weight loss after insulin treatment

Correct answer: 2. Insulin requirement is nil or modest

Explanation: After the initial clinical presentation of type 1 DM, a "honeymoon" phase may ensue during which time glycemic control is achieved with modest doses of insulin or, rarely, insulin is not needed.However, this fleeting phase of endogenous insulin production from residual beta cells disappears and the individual becomes insulin deficient.Ref: Harrison 19e pg: 2403